Man is intermediate host in:
1. Taenia saginata
2. Trichenella spiralis
3. Strongyloidis
4. P. falciparum

Correct answer: 4. P. falciparum

Explanation: Ans. (d) P. falciparum Man is intermediate host (Secondary) in: Plasmodium Toxoplasma gondii Echinococcus granulosus Sarcocystis lindemanni T. solium (man also act as definitive host).